Bains' circuit is Mapelson type - circuit -
1. Type A
2. Type B
3. Type D
4. Type E

Correct answer: 3. Type D

Explanation: Type A - Magills circuit Type C - Water,'s (to and from) circuit Type D - Bain's circuit Type E - Sure's T piece Type F -Jackson-Rees circuit.